Which drug is not acetylated?
1. INH
2. Dapsone
3. Hydralazine
4. Metoclopropamide

Correct answer: 4. Metoclopropamide

Explanation: Ans. is 'd' i.e. Metoclopramide Acetylation is a phase II metabolic reactionPhase II reactions serves to attach a conjugate to the drug molecule. After the phase II reactions all drugs becomes water soluble, so that they can be readily eliminated from the body.Phase II reactions includesGlucuronidationAcetylationMethylationSulfationGlycine conjugation AcetylationDrugs having amino or hydrazine resides are conjugated with the help of acetyl coenzyme A. Examples are :S - Sulfonamides (Dapsone)H- Hydralazine I - Isoniazid P-PASAcetylation is a genetically mediated condition.Multiple genes control the acetyl transferases and the rate of acetylation shows genetic polymorphism